The following drugs/methods are used for cervical ripening, except?
1. Oxytocin
2. PGE
3. Stripping of membrane
4. Ergometrine

Correct answer: 4. Ergometrine

Explanation: Prostaglandins, oxytocin, and stripping of membranes are usually done for cervical ripening. Other methods are Foley bulb catheter, early amniotomy, and late amniotomy. Ergometrine is used in promoting of contraction and involution of uterus after delivery.